Drug of choice for ADHD:
1. Amphetamine
2. Methylphenidate
3. Pemoline
4. Modafinil

Correct answer: 2. Methylphenidate

Explanation: (Ref: KD Tripathi, 6th ed. pg. 470-471 & 126)* Methylphenidate acts by releasing NA and DA in brain and is most widely used for attention deficit hyperkinetic disorder because it causes lesser tachycardia and growth retardation as compared to amphetamine.* It is considered as DOC of ADHD* Modafinil# Psychostimulant agent; used most commonly among night-shift (call centre) workers who need alertness and want to keep awake.# Increases attention span and improve accuracy compromised by fatigue and sleepiness.* Considered as first line drug in narcolepsy.* Pemoline# It has CNS stimulant actions similar to those of methylphenidate.# It can also be used in ADHD, narcolepsy and excessive day-time sleepiness# S/E: Hepatotoxicity, thus it has limited use* Amphetamines# It can also be used in ADHD, but not a drug of choice due to highly abusive tendency.# The central effects include alertness, increased concentration an attention spam, euphoria, talkativeness increased work capacity# Stimulate respiratory centre and Hunger centre is suppressed.